A 78-year-old man underwent surgical repair of an abdominal aortic aneurysm. Postoperatively he developed left lower quadrant pain along with urgency to defecate and had frequent episodes of passage of bright red blood per rectum. He has a history of prostate cancer for which he had received radiation therapy several years ago. Colonoscopy findings of the patient are shown below.X ray abdomen was also done. What is the most likely cause of his symptoms?
1. Radiation proctitis
2. Clostridium difficile colitis
3. Ischemic colitis
4. Acute diverticulitis

Correct answer: 3. Ischemic colitis

Explanation: 1st image shows ischemic colitis with patchy mucosal edema, subepithelial hemorrhage, and cyanosis. 2nd image shows the classical thumb printing sign. Most important precipitating factor - Surgery in an old individual Most common surgery leading to it - Repair of abdominal aortic aneurysm Colonoscopy findings show haemorrhagic ulcers with sharp demarcation between normal and ischemic mucosa.